Bone marrow in AL amyloidosis shows IM-
1. Bone marrow plasmacytosis
2. Granulomatous reaction
3. Fibrosis
4. Giant cell formation

Correct answer: 1. Bone marrow plasmacytosis

Explanation: Answer is option 1, bone marrow plasmacytosis According to an international study, 62 patients with AL amyloidosis, 40 of whom had monoclonal medullary plasma cells. There was complete concordance between the light chain class of the plasma cells in the monoclonal cases and that of the circulating paraprotein in the 22 cases associated with a paraprotein. The remaining 22 patients had polyclonal plasma cells, although a paraprotein was detected in 6. The degree of plasmacytosis was significantly higher among patients with monoclonal plasma cells and correlated inversely with length of survival.